Which of the following statements is false regarding overdentures
1. Biting force and neuromuscular control of patients is better than complete denture patients
2. Stability and retention are enhanced
3. Requires simple oral hygiene procedures
4. Gives immense psychological support to the patient

Correct answer: 3. Requires simple oral hygiene procedures

Explanation: Scrupulous hygiene accompanied by biannual professional monitoring is mandatory to ensure continued abutment health.